Most important bactericidal agent is
1. Cationic basic protein
2. Lactoferrin
3. Lysozyme
4. Reactive oxygen species

Correct answer: 4. Reactive oxygen species

Explanation: H2O2 -MPO - halide system is the most efficient bacterial system of neutrophils It is most efficient in Phagocytosis ref Robb ins 9/e p79